Which of the following statements is false regarding botulism?
1. Infant botulism is caused by ingestion of preformed toxin
2. Cl. botulinum A, B, E and F cause human disease
3. The gene for botulinum toxin is encoded by a bacteriophage
4. Clostridium baratii may cause botulism

Correct answer: 1. Infant botulism is caused by ingestion of preformed toxin

Explanation: Infant botulism is caused by ingestion of preformed toxin is a false statement. Option 1 Infant botulism- sporulated honey ingestion (unlike food poisoning) is caused by neurotoxins produced in vivo by C. botulinum that have colonized the gastrointestinal tract of the infants. C/F- constipation, lethargy, weakness, weak and altered cry, loss of head control, etc. The condition may progress to flaccid paralysis and respiratory arrest. The infants excrete toxins in their feces. Option 2 All types can cause human disease, but type A, B and E are most common, less commonly type F. Type C & D- associated with outbreaks in cattle & wild fowl. Option 3 - Toxin production in clostridium botulinum appears to be determined by presence of bacteriophage (at least in type C & D). Option 4 - Clostridium baratii have also been found to produce toxin- botulism.